This young girl presented with swelling in the neck which moves on deglutition. She complaints of dyspnea and venous engorgement in face. She is examined with following test. The name of this sign is:
1. Pemberton sign
2. Laheys test
3. Criles test
4. Gifford test

Correct answer: 1. Pemberton sign

Explanation: Ans. (a) Pemberton sign* Pemberton sign is done in cases where lower border of the thyroid swelling is not visible* This test is to confirm that retrosternal goiter is causing compression.